True about NREM sleep is
1. Teeth grinding
2. Narcolepsy
3. Night mares
4. Sleep paralysis

Correct answer: 1. Teeth grinding

Explanation: Bruxism is seen NREM stage 3, 4. Nightmares, Sleep paralysis are seen in REM sleep. Ref: synopsis of psychiatry, 11e, pg 538.